Which of the following is not an antioxidant?
1. SOD
2. Vitamin A
3. Gluthione peroxidase
4. Xanthine oxidase

Correct answer: 4. Xanthine oxidase

Explanation: Antioxidant Vitamin Vitamin E Vitamin C Beta Carotene selenium Metabolic antioxidants Glutathione: Reduced glutathione (GSH) plays a key role in the biological antioxidant enzyme system others: Ceruloplasmin, Transferrin, Albumin, Bilirubin, Haptoglobin enzymatic antioxidants (superoxide dismutase, catalase) ref satyanarayana 4th ed page 661